Dose of Thiopentone used for induction is
1. 1 mg/kg
2. 2 mg/ kg
3. 5 mg/ kg
4. 10 mg/kg

Correct answer: 3. 5 mg/ kg

Explanation: C i.e. 5 mg/kg